Best tool to measure communicability of an infectious disease?
1. Secondary attack rate
2. Generation timeSerial interval
3. Serial interval
4. Incubation period

Correct answer: 1. Secondary attack rate

Explanation: Ans. is 'a' i.e., Secondary attack rate Secondary attack rateSAR is defined as "the number of exposed persons developing the disease within the range of incubation period, following exposure to primary case.